Which of the following belong to special visceral efferent column
1. Nucleus tractus solitarius
2. Nucleus ambigus
3. Dorsal nucleus of vagus
4. Mesencephalic nucleus of trigeminal

Correct answer: 2. Nucleus ambigus

Explanation: NUCLEI OF THE NEURAL COLUMNS IN BRAINSTEM - SSA Vision (CN II) Hearing & balance Vestibulocochlear nuclei (CN VIII) Pontomedullary junction - GSA Trigeminal nerve (CN V) Nuclei of trigeminal nerve : Main sensory - Pons mesencephalic nucleus - midbrain Spinal sensory - lateral medulla - SVA Smell (CN I) taste Chemo/ presso-reception Nucleus tractussolilarius (tip) Bottom of nucleus tractus solitarius - GVA Same as SVA - GSE Skeletal Muscle eye CN III, IV, VI tongue CN XII Oculomotor (pons), trochlear nuclei, abducent Hypoglossal nucleus (midbrain) - SVE 1st arch 2nd arch 4h & 6th arch Muscles of pharyngeal arches Trigeminal nerve Facial nerve muscles of palate pharynx & larynx Trigeminal &facial nuclei in pons Nucleus ambiguous Nucleus ambiguous CN IX, X, XI, Muscles of palate Pharynx, larynx SVA Glossal nucleus of vagus Parasympathetic to cardiac & smooth muscles GVE Mesencephalic nucleus of CN V GSA SENSORY -Spinothalamic tract Sums contralateral after ascending 1-2 segments ipsilaterally Contralateral loss of pain and temperature 1-2 segments below lesion -MOTOR corticospinal tract Motor control contralateral from the cortex Ipsilateral spastic paralysis below the lesion (UMN lesion) At the level of lesion flaccid paralysis (LMN lesion)